Which of the following is the most common cause of meningoencephalitis in children:
1. Mumps
2. Arbovirus
3. HSV
4. Enterovirus

Correct answer: 4. Enterovirus

Explanation: Answer is D (Enterovirus): Enteroviruses are the most common cause of viral meningoencephalitis. Arboviruses, HSV and Mumps virus are all important agents associated with viral meningoencephalitis, but Enteroviruses are the most commonly associated agents and the answer of choice. 'Enteroviruses are the most common cause of viral meningoencephalitis' -